A 40-yr-old patient with a single kidney presents with a solitary exophytic mass of 4 cm localized at its lower pole. Which amongst the following is the best-recommended management option:
1. Radical nephrectomy
2. Radical nephrectomy with dialysis
3. Radical nephrectomy with renal transplantation
4. Partial nephrectomy

Correct answer: 4. Partial nephrectomy

Explanation: Partial nephrectomy is the preferred surgical approach for a small (<4cm) localized tumor; especially in patients with a functionally or anatomically solitary kidney. Partial nephrectomy should be considered in the following clinical situations: Renal masses less than 4cm (T1) Localized mass in a patient with a single kidney or with compromised renal function. Synchronous bilateral renal tumors Patients with Von-Hippel-Lindau syndrome as they are at high risk of renal cancer in the contralateral kidney Ref Bailey and love 27e Kidney and ureter , Srb's manual of surgery 5e p993